Specific marker for prostatic cancer is
1. Prostate specific antigen
2. LDH
3. Chromogranin
4. CA 19-9

Correct answer: 1. Prostate specific antigen

Explanation: PSA + DRE is the best method to screen prostate cancer.